Bioterrorism group A organisms are all except
1. Ebola
2. Botulism
3. Rickettsia
4. Yersinia

Correct answer: 3. Rickettsia

Explanation: Ans : c) Rickettsia Rickettsia is a category B diseaseCPC ClassificationCategory A: Higher priorityAnthraxBotulismPlagueSmall poxTularemiaViral hemorrhagic feverArena/ Bunya and Filo (Ebola Marburg)Category B:BrucellosisEpsilon toxin of Clostridium perfringensFood safety threats (Salmonella/shigella/Ecoli 57/47)Water safety threats ( Vibrio cholera)Glanders and melioidosisPsittacosis/ Q feverRicin toxinStaph enterotoxinTyphus feverViral encephalitisCategory C:Emerging infectious threatsNIPAH, HANTA, SARS, Influenza pandemic